What is true statement of the following?
1. Synaptic transmission is unidirectional
2. Glutamate is the major excitatory neurotransmitter in the nervous system
3. GABA and glycine are the major inhibitory neurotransmitters
4. All of above

Correct answer: 4. All of above

Explanation: synaptic transmission is always a unidirectional flow.Glutamate is considered as an excitaroty neurotrasmitter and GABA and glycine inhibitory. Ref: KD Tripathi 8th ed, central nervous system.